Spleniculi are seen in:
1. Colon
2. Hilum
3. Liver
4. Lungs

Correct answer: 2. Hilum